True about Pasteurization of milk is all except
1. Does not kill thermoduric bacteria
2. Does not kill spores
3. Cause > 95% decrease in bacterial count
4. Kills tubercle bacillus

Correct answer: 3. Cause > 95% decrease in bacterial count

Explanation: Ans. is 'c' i.e., "Causes > 95% decrease in bacterial count Pasteurization Pasteurization is done to destroy the pathogens that may be present in milk, while causing minimal change in the composition. flovour and nutritive value. a Pasteurization kills nearly 90% of the bacteria in milk, including the more heat resistant - Tubercle bacilli - Qfever organisms o It does not kill the thermoduric bacteria. o It does not kill bacteria spores. There are 3 w idelv used methods for pasteurization : a. Holder method : Milk kept at 63-66degC fur 30 minutes is rapidly cooled to 5degC. b. HTST method : 'High temperature short time' method (Flash method) I leated to 72degC for 15 sec. and then rapidly cooled to 4degC This is now the most widely used method. method : Ultra-high temprature method. Rapidly heated in two stages to 125degC for few seconds. The second stage is being under pressure. It is then rapidly cooled.